Superimposition technique is used in -
1. Skull
2. Pelvis
3. Femur
4. Ribs

Correct answer: 1. Skull

Explanation: Superimposition technique determines whether the skull is that of a person in a photograph or not.